BIRADS score 4 suggest:
1. Normal lesion
2. Suspicious of malignancy
3. Mostly benign
4. Proven malignancy

Correct answer: 2. Suspicious of malignancy

Explanation: Ans. b. Suspicious of malignancyBreast imaging reporting and data systems (BIRADS)CategoryDefinitionNext plan0Incomplete assessment 1Negative (No abnormal enhancement is found)Advice for routine follow-up2Benign FindingEx: Hyalinized non-enhancing Fibroadenoma, Cysts and old non-enhancing scars, fat containing lesions such as oil cysts, Lipomas, galactocele or mixed density hamartomas.Recommend annual screening3Probably benign(Changes are highly unlike to malignant)Short interval follow-up4Suspicious(These are lesions that do not have characteristic morphology of Breast carcinoma, but do have a definite low to moderate probability of benign malignant).Biopsy should be consider for the lesions5Highly suggestive malignancy(Lesion categorized as BIRADS-5 have high risk probability of being cancerous. They show typically findings of malignant breast tumor).Appropriate action should be taken6Histological verified breast carcinoma.